Retinal detachment is preceeded by:
1. Floaters and flashes
2. Eales' disease
3. Trauma
4. All of the above

Correct answer: 4. All of the above

Explanation: Ans. All of the above